Most common route of transmission of hepatitis C:
1. IV drug abuse
2. Sexual contact
3. Factor 8 concentrate
4. Feco-oral route

Correct answer: 1. IV drug abuse

Explanation: Screening of donated blood for HCV antibody has decreased the risk of transfusion-associated HCV infection Persons who inject illegal drugs with non-sterile needles or who sno cocaine with shared straws are at highest risk for HCV infection. In developed countries, most new HCV infections are related to intravenous drug abuse (IVDA).